All are true about maxillary sinusitis except?
1. Pain over upper jaw
2. No variation of pain with jaw movement
3. Most common sinusitis in adults
4. Maxillary sinus present at birth

Correct answer: 2. No variation of pain with jaw movement

Explanation: Pain increases on jaw movement.